Drug withdrawn in Inida is ?
1. Levofloxacin
2. Gatifloxacin
3. Moxifloxacin
4. Ofloxacin

Correct answer: 2. Gatifloxacin

Explanation: Ans. is 'b' i.e., Gatifloxacin o Gatifloxacin has recently been banned in India, due to risk of severe hyperglycemia in elderly. Note: Following FQs have been withdrawn from the market because of their rare but potentially fatal side effects (Goodman & Gilman 1 Pie 1119) o Temafloxacin Immune hemolytic anemia o Grepafloxacin Cardiotoxicity o Trovafloxacin Hepatotoxicity o Clinafloxacin Phototoxicity